Excessive eating of non nutritive substances is called-
1. PICA
2. Anorexia nervosa
3. Prune belly disease
4. Dyslexia

Correct answer: 1. PICA

Explanation: Ans. is 'a' i.e., PICA o Pica involves repeated or chronic ingestion of non-nutritive substances, which includes plaster, charwal, clay, woo: ashes, patent & earth, o More common associated with autism :# Family disorganisation# Poor supervision# Psychologic Neglecto Geophagia (eating of earth) is associated with pregnancy and some culture.